Contraindications of topical steroids are:
1. Dendritic ulcer
2. Disciform keratitis
3. Anterior uveitis
4. Acute angle-closure glaucoma

Correct answer: 1. Dendritic ulcer

Explanation: Ans. Dendritic ulcer